Absorption of which of the following drug increases with food intake?
1. Tetracycline
2. Diazepam
3. Griseofulvin
4. Ampicilin

Correct answer: 3. Griseofulvin

Explanation: Ans. c (Griseofulvin). (Ref. KDT, Pharmocology, 4th ed., 774 & Harrison Medicine, 16th ed., 14, 22, 125)Absorption of Griseofulvin from GIT is improved by food intake especially, by taking it with fats and by microfining the drug particles.